Serum amyloid associated protein, found in
1. Alzheimer's disease
2. Chronic inflammatory states
3. Chronic renal failure
4. Malignant hypertension

Correct answer: 2. Chronic inflammatory states

Explanation: (Chronic inflammatory states) (84 - HM) (159 - R) (168- Basic pathology 8th)* AA amyloid fibril proteins are typically deposited in the setting of chronic inflammary states & traumatic conditions they derive from a larger serum precursor synthesized in the liver called SAA {Serum amyloid associated) protein* b- amyloid protein found in Alzheimer's disease